Antilipidemic drugs that prevent hypercholesterolemia by inhibiting absorption -
1. Ezetimibe
2. Orlistat
3. Cholestyramine
4. Statins

Correct answer: 1. Ezetimibe

Explanation: Ans. is 'a' i.e., Ezetimibe Ezetimibe inhibits the absorption of cholesterol by bidning to transporter located in intestinal brush border. Note: Orlistat also reduces cholesterol absorption, but it is an anti-obesity drug (not an antilipidemic drug).